38 year old man Babbu, a chronic alcoholic, presents with pain in abdomen. On examination his liver is enlarged and serum a fetoprotein is elevated. The most likely diagnosis is:
1. Hepatocellular carcinoma
2. Liver cell hyperplasia
3. Hepatic adenoma
4. Hepatitis

Correct answer: 1. Hepatocellular carcinoma

Explanation: Answer is A (Hepatocellular carcinoma) Presence of elevated serum a fetopotein in the background of chronic history of alcohol consumption (risk factor for HCC) leads us to the diagnosis pf hepatocellular carcinoma. AFP is the most specific and an ideal tumor marker for primary Ca of the liver i.e, Hepatocellular Carcinoma The presence and persistence of high levels of serum AFP (Over 500 to 1000mg/L) in an adult with liver disease, and liithmit an obvious gastrointestinal tumor strongly suggests Hepatocellular CA. AFP levels as tumor marker Liver cell carcinoma: Hepatocellular carcinoma Hepatoblastoma Non seminomatous germ cell tumors of testes and ovary: Choriocarcinoma Embryonal carcinoma Yolk sac tumors Teratoma Teratocarcinoma Gastrointestinal tumors AFP levels mar also he increased in non neoplastic conditions like cirrhosi & hepatitis.